Haascheiben cells in epidermis are responsible for ?
1. Temperature
2. Proprioception
3. Pressure
4. Touch

Correct answer: 4. Touch

Explanation: Merkel cells or Haascheiben cells are located amongst basal keratinocytes and are mainly found in hairy skin, tactile areas of glabrous skin, taste buds, anal canal, labial epithelium and eccrine sweat glands, all regions of high tactile acuity. Merkel cells are easily identifiable on transmission electron microscopy. They are oval with a long axis of approximately 15 mm, orientated parallel to the basement membrane.